Levamisole is used as all except -
1. Single dose in ascariasis
2. Immunostimulant
3. Paralysis of worms by depolarisation
4. Immunodepressant in high doses

Correct answer: 4. Immunodepressant in high doses

Explanation: Ans. is 'd' i.e., Immunodepressant in high doses Levamisol o Levamisole is an immunomodulator - restores depressed T cell function -3 Immunostimulant (not immunodepressant). o Single dose of levamisol can be used in ascariasis. Other uses --> A. duodenal (less active against N. americana). o It causes tonic paralysis (depolarization) by stimulating ganglia.